Incision used in endomeatal approach to the ear ?
1. Lempert I incision
2. Lempert II incision
3. Rosen's incision
4. Wilde's incision

Correct answer: 3. Rosen's incision

Explanation: Ans. is 'C i.e., Rosen's incision(Ref Dhingra /e p. 400)Endomeatal or transcanal approach.It is used to raise a tympanomeatal flap in order to expose the middle ear.Rosen's incision is the most commonly used lot stapedectomy.